Intrinsic causes of hemolytic anemia are all except
1. GCPD deficiency
2. Hereditary spherocytosis
3. Hypersplenism
4. Pyruvate kinase deficiency

Correct answer: 3. Hypersplenism

Explanation: Hypersplenism is an extracorpuscular cause of heamolytic anemia. All other options are intracorpus cular / intrinsic causes of heamolytic anemia.